In TCA cycle of tricarboxylic acid, which is first formed
1. Isocitrate
2. Citrate
3. Succinate
4. Fumarate

Correct answer: 2. Citrate

Explanation: B i.e. Citrate